A child has multiple itchy papular lesions on the genitalia and fingers. Similar lesions are also seen in the younger brother. Which of the following is most possible diagnosis ?
1. Papular urticaria
2. Scabies
3. Atopic dermatitis
4. Allergic contact dermatitis

Correct answer: 2. Scabies